Bicipital aponeurosis lies over which structure in cubital fossa-
1. Ulnar nerve
2. Radial nerve
3. Brachial artery
4. Anterior interosseous artery

Correct answer: 3. Brachial artery

Explanation: Ans. is 'c' i.e., Brachial artery o Bicipital aponeurosis passes superficial to the brachial artery and median nerve. It lies deep to superficial veins.o During venipuncture, the bicipital aponeurosis provides limited protection for brachial artery and median nerve.